Clinical features of "hypothyroidism" in a newborn are all except:
1. Sluggishness +++
2. Large tongue
3. Large posterior fontanel
4. Mental retardation

Correct answer: 4. Mental retardation

Explanation: d. Mental retardation(Ref: Nelson's 20/e p 2669-2773, Ghai 8/e p 516-521)Mental retardation (Intellectual disability) develops by 3-6 months of age (not in neonatal period).